False about trench foot is:
1. Due to moist heat
2. Due to prolonged immersion
3. Can develop necrosis and gangrene
4. Gradual rewarming is done

Correct answer: 1. Due to moist heat

Explanation: TRENCH FOOT IS DUE TO EXPOSURE TO EXTREME COLD AND DAMPNESS, NOT DUE TO MOIST HEAT. MOIST HEAT CAUSES SCALDS TRENCH FOOT / IMMERSION FOOT Immersion foot/ trench foot and trench hand are types of immersion syndrome injuries. It occurs due to prolonged exposure to severe cold and dampness Seen in soldiers during warfare times Can develop necrosis and gangrene